Cardiac lesion in SLE cause -
1. Verrucous endocarditis
2. Valvular incompetence
3. Myocardial fibrosis
4. All of the above

Correct answer: 4. All of the above